Increase in intracranial pressure is NOT associated with
1. Deterioration of consciousness
2. Tachycardia
3. Respiratory depression
4. Increase in BP

Correct answer: 2. Tachycardia

Explanation: Raised intracranial pressure initiates Cushing’s reflex. Cushing’s reflex leads to a rise in arterial pressure, which restores the blood supply to the brain. At the same time, the raised BP causes reflex Bradycardia through the baroreceptors.